CCF is associated with Increase in all of the following except -
1. Right atrial mean pressure
2. Serum sodium
3. Serum urea
4. Serum norepinephrine

Correct answer: 2. Serum sodium